Appendicectomy is protective in
1. Irritable bowel syndrome
2. Ulcerative colitis
3. Crohn's disease
4. Caeliac sprue

Correct answer: 2. Ulcerative colitis

Explanation: There is a protective effect of the previous appendectomy with confirmed appendicitis (reduction of 13-26%), particularly at a young age, on the development of UCRef: Harrison 19e pg: 1947